Microfalaria in Culex depicts what kind of Biological transmission?
1. Cyclo-developmental
2. Cyclo-propagative
3. Developmental
4. Propagative

Correct answer: 1. Cyclo-developmental

Explanation: Microfalaria in culex is an example of cyclo-developmental transmission. In Culex mosquito, it undergoes only development. stages will change There is no multiplication taking place in it. TYPES OF BIOLOGICAL TRANSMISSION- Propogative transmission Cyclo-developmental Cyclo-propogative